Eye is deviated laterally and downwards; patient is unable to look up or medially; likely nerve involved is
1. Trochlear
2. Trigeminal
3. Occulomotor
4. Abducent

Correct answer: 3. Occulomotor

Explanation: Abduction and some depression is spared, therefore the eye is deviated laterally and downward. All adduction, elevation and extorsion is lost, so patient cannot lookup or medially.